Odds ration is designated as ?
1. ab/cd
2. ac/bd
3. bd/ac
4. ad/bc

Correct answer: 4. ad/bc

Explanation: Ans. is 'd' i.e., ad/bc Odds - ratio (cross product ratio) From a case control study odds ratio can be derived which a measure of the strength of association between risk factor and outcome. Odds ratio is closely related to relative risk (which is analysed in cohort study) - odds ratio represents only an estimate of relative risk.